BRCA 1 gene is located on ?
1. Chromosome 13
2. Chromosome 11
3. Chromosome 17
4. Chromosome 22

Correct answer: 3. Chromosome 17

Explanation: Chromosome 17 Repeat from May 11 BRCA-1 is located on chromosome 17q21 (Long arm of chromosome 17 at position 21). BRCA -2 is located on chromosome 13812 Read more .from May 11